Which of these is used for prevention of struvite stone?
1. Urine alkaliniser
2. Acetohydroxamic acid
3. Tiopronin
4. D-Penicillamine

Correct answer: 2. Acetohydroxamic acid

Explanation: Struvite stones /triple phosphate stones- occur due to infection of upper urinary tract with urease-producing bacteria like Proteus These organisms hydrolyze urea and elevate urine pH to >8.0. This causes precipitation of triple phosphate and the stone quickly fills the renal pelvis. In patients with surgically altered urinary drainage or spinal cord injury, urease inhibitor Acetohydroxamic Acid can be used. Choice C and D, tiopronin and penicillamine are used in the medical management of cystine stones.